Grease color is seen with....Wounds :
1. Fire arm entry
2. Fire arm exit
3. Road traffic accident
4. Hanging

Correct answer: 1. Fire arm entry

Explanation: A i.e. Firearm entry